To increase awareness of rural population towards small family norm, the best method is –
1. Film show
2. Charts Exhibitions etc
3. Role playing
4. Setting on example

Correct answer: 4. Setting on example

Explanation: The health educator should set a good example in the things he is teaching.
If he is explaining the hazards of smoking, he will not be very successful if he himself smokes.
If he is talking about the "small family norm" he will not get very far if his own family size is big.